Most common side effect of DH Ps calcium channe blockers is -
1. Headache
2. Constipation
3. Diarrhoea
4. Muscle cramps

Correct answer: 1. Headache

Explanation: Ans. is `a' i.e., Headache o The most common side effects caused by the Ca" channel antagonists, particularly the dihydropyridines, are due to excessive vasodilator. Symptoms include dizziness, hypotension, headache, flushing, digital dysesthesia, and nausea.